Not characteristic feature of granuloma ?
1. Chronic inflammatory infiltrate
2. Epitheloid cell
3. Giant cell
4. PMN's with fibrinoid necrosis with cellular infiltrates

Correct answer: 4. PMN's with fibrinoid necrosis with cellular infiltrates

Explanation: Ans. is 'd' i.e., PMN's with fibrinoid necrosis with cellular infiltrates Polymorphonuclear leucocytes or neutrophils have a major role in acute inflammatory response. They are typically seen in acute inflammation. While granuloma formation is seen during chronic inflammatory response. The cells predominating during chronic inflammatory response are lymphocytes, plasma cells, monocytes etc. PMN's or neutrophils are typically absent during chronic inflammation. Granuloma contains Activated macrophages, i.e., epitheloid cells. Monocytes Lymphocytes Plasma cells Giant cells There are two types of giant cells 1. Langhans Giant cells Contains 3-5 nuclei Nuclei arranged peripherally (horse shoe) in the cytoplasm. 2. Foreign body cells Contains 3-5 nuclei Nuclei are arranged haphazardly in the cytoplasm. Langhans cells are the precursors of foreign body giant cells, as the numbers of nuclei increase langhans cells are converted to foreign body giant cells So in early stage Langhans giant cells are predominant, while later on foreign body giant cells predominate. Foreign body giant cells can be arise directly from the fusion of macrophages also. So, Foreign body giant cells arise from ? 1. Langhans giant cells 2. Fusion of macrophages.